Screening for nephropathy in prepubertal children with type 1 DM should be initiated after how many years of disease onset?
1. 2 years
2. 3 years
3. 4 years
4. 5 years

Correct answer: 4. 5 years

Explanation: Annual screening of Nephropathy is considered in: Prepubertal - with duration of DM > 5yrs from onset Pubertal - with duration of DM > 2yrs from diagnosis